An infant presents to OPD with signs of heart failure. On examination, there is hypotonia; hepatomegaly, cardiomegaly. ECG shows tall QRS complex and short PR interval. Which enzyme is deficient in this condition?
1. Glucose 6 - phosphatase
2. Muscle phosphorylase
3. Liver phosphorylase
4. Acid maltase

Correct answer: 4. Acid maltase

Explanation: Hypotonia, hepatomegaly, cardiomegalyare seen in Pompe disease.
Acid maltase or Alpha 1,4. Glucosidase is deficient in Pompe disease.